Disadvantage of the use of laminated arch wire is:
1. Lack of stability
2. Fracture
3. Abruptness in response to adjustment
4. Difficult to handle clinically

Correct answer: 3. Abruptness in response to adjustment